Hormonal treatment is given for which of the following malignancy -
1. Chorio Carcinoma
2. Carcinoma prostate
3. Hepatoma
4. Teratoma

Correct answer: 2. Carcinoma prostate

Explanation: Ans. is 'b' i.e., Carcinoma prostate